Intracellular and interstitial body fluids have similar:
1. Total osmotic pressure
2. Colloid osmotic pressure
3. Chloride ion concentrations
4. Potassium ion concentrations

Correct answer: 1. Total osmotic pressure